Malunited Colle's fracture can lead to?
1. Garden spade deformity
2. Gun shot deformity
3. Swan neck deformity
4. Dinner fork deformity

Correct answer: 4. Dinner fork deformity

Explanation: Ans. d (Dinner fork deformity). (Essential Orthopedics by Maheshwari, 2nd ed., 92)COLLE'S FRACTURE# A Colle's fracture always unites, but malunion occurs in a large proportion of cases.# The cause of malunion is redisplacement of the fracture within the plaster, so that a dinner fork deformity results.# There may be a limitation of wrist movement & forearm rotation.# The Commonest complication of Colies fracture: Stiffness of fingers# Other complications of Colle's fracture are Sudeck's osteodystrophy, tendon injury, vascular injury, etcEducational point:# 'Gun-Stock' deformity is seen in supracondylar fracture of humerus.